Nasal septum is formed except by
1. Perpendicular plate of ethmoid
2. Vomer
3. Nasal bone
4. Lateral cartilage

Correct answer: 4. Lateral cartilage

Explanation: The bony part is formed by: 1.Vomer 2.Perpendicular plate of ethmoid 3.Nasal spine of frontal bone 4.Rostrum of sphenoid 5.Nasal crest of nasal, palatine and maxillary bones. NOTES: The cartilaginous part is formed by; 1.Septal cartilage 2.Septal process of inferior nasal cartilages The cuticular part is formed by; 1.Fibrofatty tissue Ref.BDC volume3,Sixth edition pg 240